You have been referred a middle–aged patient to rule out open angle glaucoma. Which of the following findings will help in the diagnosis –
1. Cupping of the disc
2. Depth of anterior chamber
3. Visual acuity and refractive error
4. Angle of the anterior chamber

Correct answer: 1. Cupping of the disc

Explanation: At least two of the following three are required to make a diagnosis of POAG :-



Raised IOP (>21 mmHg) on more than one occasion and a circadian variation in TOP > 8 mmHg.
Glaucomatous changes in optic disc (including cupping of disc)
Visual field changes.